Which of the following functionally componetent of largest unit of the ribosomes
1. tRNA
2. mRNA
3. Catalyze formation of the peptides
4. Formation of the polyribosomes

Correct answer: 3. Catalyze formation of the peptides

Explanation: (Catalyzes formation of the peptides) (436 - Lippincott's 4th)Polyribosome {Polysome) is used when several ribosomes simultaneously translate on a singe mRNA* The large ribosomal subunit catalyzes formation of the peptide bonds that link amino acids residues in a protein.* The small subunit binds mRNA and is responsible for the accuracy of translation by ensuring correct base- pairing between the codon in the m RNA and the anticodon of the tRNA